Root value for nerve to Quadratus femoris -
1. L1L2 L3
2. L2 L3 L4
3. L4 L5 S1
4. S1 S2 S3

Correct answer: 3. L4 L5 S1

Explanation: Ans. is 'c' i.e., L4 L5 S1o Nerve to quadratus femoris is a branch of sacral plexus with root value L4 L5 S\.Sacral plexus has been explained in previous sessions.